How many pairs of flagella does Giardia lamblia possess
1. One
2. Two
3. Three
4. Four

Correct answer: 4. Four